Central osmoreceptors are located in which part of hypothalamus-
1. Supraoptic nuclei
2. Paraventricular nuclei
3. Anterior hypothalamus
4. Lateral hypothalamus

Correct answer: 3. Anterior hypothalamus

Explanation: Ans. is 'c' i.e., Anterior Hypothalamus Vegetative and endocrine function of hypothalamus*Preoptic regionRegulation of body temperature # Anterior hypothalamusRespond to heat # Posterior hypothalamusRespond to cold (shivering center)*Periventricular nucleus especially arcuate nuclusSomatostatin, GnRH*Supraoptic nuclei & paraventricular nucleiSecretion of oxytocin, ADH (vasopressine)*Paraventricular nucleiTRH, CRH*Preoptic areaGnRH*Dorsal and poserior hypothalamusCatecholamines*Anterior and posterior hypothalamusSexual behavior (Anterior hypothalamus, especially medial preoptic nucleus, is more important)*Ventromedial nucleusSatiety center*Lateral hypothalmic nucleusFeeding center*Lateral superior hypothalamusThirst*Suprachiasmatic nucleusRegulation of circadian rhythms*Anterior hypothalamusOsmoreceptorNote:* Though, both supraoptic and paraventricular nuclei are involved in secretion of ADH and oxytocin, the majority of ADH is released by supraoptic nucleus, whereas majority of oxytocin is released by paraventricular nucleus.